Thickness of lead apron to prevent radiation -
1. 1 mm
2. 3 mm
3. 0.5mm
4. 7mm

Correct answer: 3. 0.5mm

Explanation: lead aprons of thickness 0.5mm will reduce the intensity of scattered X rays over 90% and should be worn by all workers regularly exposed to X ray procedures. Radiation protection is the youngest bramch of hygiene and is called radiation hygiene. Parks textbook of preventive and social medicine.K Park. Edition 23.page no: 745